Berkeley membrane is seen in:
1. Psoriasis
2. Pemphigus
3. Tinea capitis
4. Pityriasis rubra

Correct answer: 1. Psoriasis

Explanation: Psoriasis